Among the following all are hydrophilic hormones that act on cytosolic receptors except one which is a lipophilic hormone that acts on nuclear receptor:
1. Thyroxine
2. Epinephrine
3. GH
4. AUTH

Correct answer: 1. Thyroxine

Explanation: Ans. a. Thyroxine Thyroxine is a lipophilic hormone that acts on nuclear receptor:Classification of Hormones by Mechanism of ActionBind to Intracellular ReceptorBind to ceil surface receptor Second messengerCytoplasmic Receptors:c-AMPc-GMPCa2+/Phosphatidyl inositolKinase/ Phosphatase* Glucocorticoids* Mineralocorticoids0* Androgens, estrogen and progestins0* Retinoic acid (retinoids)* Vitamin Ds (11 25-(OH)2 D3)Nuclear Receptors:* Thyroid hormones0* Retinoic acid* Calcitonin* Glucagon* LH and FSH* Norepinephrine* HCG* ADH* CRH* PTH* TSH* ANF* NO0* a1 adrenergic* Angiotensin II* Oxytocin* GnRH* Substance P* Gastrin* Choiecystokinin* Muscarinic (Acetylcholine)* Vasopressin3* TRH* Insulin* GH* EGF, FGF* IGF I and II* Nerve growth factor (NGF)* PDGF* Erythropoietin* Prolactin0* Adiponectin and leptin